Which of the ollowing is an antiapoptotic 'gene ?
1. C-myc
2. P53
3. bc1-2
4. bax

Correct answer: 3. bc1-2

Explanation: Ans. is 'c' i.e., bcl - 2